Commonest tumor of face in chidren is-
1. Rhabdomyosarcoma
2. Sq. cell carcinoma
3. Basal cell carcinoma
4. Mixed parotid tumor

Correct answer: 1. Rhabdomyosarcoma

Explanation: Ans. is 'a' i.e., Rhabdomyosarcoma Rhabdomyosarcoma o The most common soft tissue sarcoma in children is rhabdomyosarcoma. o The common site of involvement are : - o Head & Neck (25%) 2"d most common Extremities Genitourinary (22%) --> 2nd most common Retroperitoneum